Which of the following is the artery for endometrial blood supply?
1. Endometrial artery
2. Myometrial artery
3. Spiral artery
4. Cervical artery

Correct answer: 3. Spiral artery

Explanation: Ans. C Spiral arteryRef: Gray's Anatomy E-book, P 172* Spiral artery, a branch of radial artery, chiefly supplies endometrium.* Endometrium and myometrium are supplied mainly by ovarian and uterine artery.